Palatoprints are used for identification of the person, is performed by taking prints from which part of the hard plate?
1. Lateral
2. Anterior
3. Middle
4. Posterior

Correct answer: 2. Anterior

Explanation: Ans. b. Anterior (Ref: Reddy 33/e p88, 29/e p80)Palatoprints are used for identification of the person, is performed by taking prints from anterior part of the hard plate.Rugoscopy (Palatoprints)In anterior part of hard palate, structural details like rugae (plica palatine/ridges) and grooves are individual specific (like finger prints) and permanentQ.Using palatoprints for identification is suggested by Harrison Allis (method) as these do not change during growth and are relatively protected from heat and traumaQ.Thomas and Kurtze have classified Palatoprints based on characteristics of rugaePrimary rugae5 to > 10 mmSecondary rugae3 to 5 mmTertiary rugae< 3 mmAdvantagesDo not change during growthProtected from trauma due to its situationProtected from heat by buccal pad of fat and tongue.Even in twins, the pattern of rugosities may be similar but not identical.